Hatter's shakes are seen in:
1. Lead poisoning
2. Mercury poisoning
3. Arsenic poisoning
4. Copper poisoning

Correct answer: 2. Mercury poisoning

Explanation: Ans. Mercury poisoning